Most common fungal infection in neutropenic patient is:
1. Candidiasis
2. Aspergillosis
3. Histoplasmosis
4. None of the above

Correct answer: 1. Candidiasis

Explanation: Ans. A: Candidiasis The most common fungal pathogens associated with invasive disease in humans are opportunistic yeasts (e.g., Candida albicans) or filamentous fungi (e.g., Aspergillus spp.).